Earliest radiological sign of pulmonary venous hypertension in chest X-ray is -
1. Cephalization of pulmonary vascularity
2. Pleural effusion
3. Kerley B lines
4. Alveolar pulmonary edema

Correct answer: 1. Cephalization of pulmonary vascularity

Explanation: Upper lobe venous diversion is the 1st radiological sign of PVH. Kerley B lines , perihilar haze ,peribronchial cuffing,pulmonary ossicles,fine punctate calcification and perihilar wing pattern.